False statement on FAP:
1. Most common genetic polyposis syndrome
2. >100 polyps may be present in colon
3. Risk of developing colon cancer is 90-100%
4. Colon cancer usually develops around 20 years of age

Correct answer: 4. Colon cancer usually develops around 20 years of age

Explanation: Familial adenomatous polyposis (FAP): mutations in APC gene (chr 5q21) Most common genetic polyposis syndrome Characterized by numerous adenomatous polyps (100s to 1000s) throughout colon Polyps generally develop in adolescence (mean age of presentation is 16 year). These are precancerous lesions & without intervention, the risk of developing colon cancer is 100% by 5th decade of life (average age of cancer diagnosis is 40 years).